Endemic hemoptysis is caused by
1. H. Nana
2. D. latum
3. C. sinensis
4. P. westermanii

Correct answer: 4. P. westermanii

Explanation: P. westermanii also called lung fluke causes endemic hemoptysis.